Systemic features of inflammation (fever & hypotension) are mediated by
1. Lipoxins
2. Cytokines
3. Histamine
4. Leukotriene

Correct answer: 2. Cytokines